Which of the following is category 3 in Maastricht classification of donation after cardiac death?
1. Awaiting cardiac arrest
2. Brought in dead
3. Unsuccessful resuscitation
4. Cardiac arrest after brainstem death

Correct answer: 1. Awaiting cardiac arrest

Explanation: Maastricht Classification for Donation after Circulatory Death (DCD) Donors Category Description (DRACUIa) 1 Dead on arrival at hospital 2 Resuscitation attempted without success 3 Awaiting cardiac arrest after withdrawal of support (Most DCD donors from Category 3) 4 Cardiac arrest while brain dead 5 Cardiac arrest & Unsuccessful resuscitation in hospital Mn: DRACULa